DSM-IV criterion for depression is
1. 1 week
2. 2 week
3. 3 week
4. 4 week

Correct answer: 2. 2 week

Explanation: The duration of symptoms of depression according to DSM-5 diagnostic criteria for major depression is 2 weeks. DSM IV is older version of DSM., present version is 5th.